All of the following are grievous injuries except -
1. Facial burns
2. Avulsion of nail
3. Fracture of bone
4. Emasculation

Correct answer: 2. Avulsion of nail

Explanation: Facial bum (causing disfiguration), fracture and emasculization are grievous injuries.